Formula to calculate sensitivity of a screening test -
1. True positive/true positive + false negative
2. True negative/true positive + false negative
3. True positive/true negative - false positive
4. True negative/true negative + false positive

Correct answer: 1. True positive/true positive + false negative

Explanation: Ans. is 'a' i.e,, True positive/true positive + false negative Number of true positiveSensitivity = --------------------------------------------------------------------------------------Number of true positives + Number of false negative.N umber of true negativesSpecificity = ------------------------------------------------------------------------------------Number of true negative + number of false positives.